Metastatic calcification is not seen in ?
1. Kidney tubules
2. Fundal glands of stomach
3. Alveoli of lungs
4. Media of Monkeberg degeneration

Correct answer: 4. Media of Monkeberg degeneration

Explanation: Ans. is 'd' i.e., Media of monkeberg degeneration o In degenerated tissues (monkeberg degeneration), dystrophic calcification takes place.